Embolization from mitral valve vegetation is unusual to which of the following organs?
1. Lung
2. Brain
3. Liver
4. Spleen

Correct answer: 1. Lung

Explanation: Mitral valve vegetations usually do not embolise to lungs. Whereas in Tricuspid valve endocarditis a 'patchy nature' of recurrent lung pneumonitis caused by embolism of vegetation in the lungs is seen. Mitral valve vegetation would not enter the lung as it would cause a 'backward flow'. Hematogenously seeded focal infection is most often clinically evident in the skin, spleen, kidneys, skeletal system, and meninges. Ref: Textbook of Medicine By Robert.l Souhami, John Moxham, Page 575 ; Harrison's Internal Medicine, 18th Edition, Page 1054-55